NOT a cause of post-partum hemorrhage in a retracted uterus:
1. Vaginal tear
2. Cervical laceration
3. Retained placenta
4. Atony of uterus

Correct answer: 4. Atony of uterus

Explanation: Ans. D i.e. Atony of uterus An atonic uterus cannot compressed effectively due to imperfect contraction and retraction of the uterine musculature and bleeding continues So a retraced uterus rules out uterine atony as a cause of PPH Post partum hemorrhage MC cause of PPH: Atonic uterus (grand multipara, prolonged labor etc.) PPH is said to occur if: Blood loss is more than 500 cc Drugs used for PPH: -- Misoprostol, -- Ergometrine etc.